Intracranial calcification with cystic lesion in plain X-ray skull is seen in –
1. Meningioma
2. Glioma
3. Craniopharyngioma
4. Medulloblastoma

Correct answer: 3. Craniopharyngioma